Which of the following inhibits the rate limiting step in synthesis of epinephrine ?
1. Guanithidine
2. Bretylium
3. Metyrosine
4. Peserpine

Correct answer: 3. Metyrosine

Explanation: Ans. is 'c' i.e., Metyrosine